Mucocutaneous leishmaniasis is caused by ?
1. L-braziliensis
2. L. tropica
3. L. donovani
4. L-orientalis54

Correct answer: 1. L-braziliensis

Explanation: Ans. is 'a' i.e., L. braziliensis